One of the following leukemia almost never develops after radiation
1. Acute myeloblastic leukemia
2. CML
3. ALL
4. CLL

Correct answer: 4. CLL

Explanation: Ref Robbins 9/e p431 The main source of ionizing radiation are x-rays x-r gamma Ray's ,high energy neutrons, alpha particles and beta particles,which are essential electron cancer associated with radiation: ALL,AML,CML Cancer of lung ,thyroid,breast,lung Cancer of CNS,bladder,ovary Cancer not associated with radiation CLL Hodgkin's lymphoma Cancer of prostate and testis and cervix